Myelodysplasia in fetus can be best diagnosed by
1. AFP
2. Lumbar puncture
3. HCG
4. Unconjugated estriol

Correct answer: 1. AFP

Explanation: Ans. a (AFP); (Ref. Robbins, Pathologic Basis of Disease, 6th/pg.325)Maternal serum AFP (MSAFP)# It is a oncofoetal protein# Highest level of which in foetal serum and amniotic fluid, it reaches around 13 weeks and decreases thereafter.# It reaches a peak around 32 weeks.# It decreases in Down's syndrome.# Its increased levels are seen in (Mnemonic = WORMIAN)- Wrong gestational age,- Open neural tube defects,- Renal anomalies,- Multiple pregnancy,- IUD,- Anterior abdominal wall defects,- Nephrotic syndrome (Congenital).# Ach esterase has better diagnostic value than AFP in open neural tube defects. (AI 2005)# Normal levels of AFP in liquor at 16th week = 20 mg/dL.# AFP is tumor marker for HCC, Non-seminomatous GCTs and ovarian sexcord tumors like Sertoli-Leydig tumors.